Staghorn calculus is made out of:
1. Oxalate
2. Phosphate
3. Uric acid
4. Cysteine

Correct answer: 2. Phosphate

Explanation: Ans. B i.e. Phosphate